Esmolol is a short acting b blocker because
1. It has more plasma protein binding
2. Its plasma hydrolysis by esterases is rapid
3. It has high lipid solubility
4. It has high oral bioavailability

Correct answer: 2. Its plasma hydrolysis by esterases is rapid

Explanation: * Esmolol - Shortest acting b blocker * Nadolol - Longest acting b blocker * Esmolol is metabolized by pseudocholinesterase hence it is short acting. * Drugs metabolized by pseudocholinesterase SUCCINYLCHOLINE ESMOLOL REMIFENTANIL